In polyarteritis nodosa, aneurysms are seen in all, except:
1. Kidney
2. Lung
3. Liver
4. Pancreas

Correct answer: 2. Lung

Explanation: Answer is B (Lung): 'PAN (classic PAN) does not involve pulmonary arteries although bronchial vessels may be involved. Aneurysmal dilatation npto 1 cm in size along the involved arteries is characteristic of PAN.r-Harrison 16th/2007. Classical PAN: Review Classical PAN is a multisystem necrotizing vasculitis of small & medium sized muscular arteries in which involvement of renal & visceral arteries is characteristic Clinical Manifestations Related to Organ System Involvement in Classic Polyarteritis Nodosa Renal Hypertension, Renal failure Musculoskeletal Arthritis, ahralg a, myalgia Peripheral nervous system Peripheral neuropathy, mononeuritis multiplex Gastrointestinal tract Abdominal pain, nausea and vomiting, bleeding, bowel infarction and perforation, cholecystitis, hepatic infarction, pancreatic infarction Skin Rash, purpura, nodules, cutaneous infarcts, livedo reticularis, Raynaud phenomenon Cardiac Congestive heart failure, myocardial infarction, pericarditis Genitourm!ig Testicular, ovarian, or epididymal pain Central nervous system Cerebral vascular accident, altered mental status, seizure Remember: Classic PAN does not involve pulmonary arteries. Bronchial vessels may be involved but their involvement also, is an uncommon Jeature.Q Renal involvement is characterized by arteritis without glomerulonephritis. Clinically renal involvement is in the form of renovascular hypertension is frequent. Renal failure may occur but it is uncommon and usually occurs late.Q